Lymph node metastasis is least commonly seen with ?
1. Papillary Ca Thyroid
2. Medullary Ca Thyroid
3. Follicular Ca Thyroid
4. Anaplastic Ca Thyroid

Correct answer: 3. Follicular Ca Thyroid

Explanation: Ans. is 'c' i.e., Follicular Carcinoma thyroid Follicular Ca metasizes primarily through the blood, and Lymph node metastasis is quite rare. Lymph nodes are frequently involved in patients with - Papillary - Medullary - Hurthle cell carcinomas and - Anaplastic